AFP is raised in -
1. Teratoma
2. Dysgerminoma
3. Endodermal sinus tumor
4. Choriocarcinoma

Correct answer: 3. Endodermal sinus tumor

Explanation: Ans. is 'c' i.e., Endodermal sinus tumor Testicular tumorsTumors markerso Embryonal carcinomaHuman chorionic gonadotropin (HCG) a-Fetoprotein (AFP)o Yolk sac tumor (Endodermal sinus tumor)AFPA1-antitrypsino ChoriocarcinomaHCG